Following are the warning signals of development of diabetes in later life, except :
1. Large babies
2. High rate of fetal loss
3. Tendency to heart disease
4. Tendency to hydramnios

Correct answer: 3. Tendency to heart disease

Explanation: Tendency to heart disease